Crab is the intermediate host for-
1. Clonorchis sinensis
2. Paragonimus westermani
3. Fasciola hepatica
4. Schistosoma hematobium

Correct answer: 2. Paragonimus westermani